Which of the following is not directly related to Hashimoto's thyroiditis?
1. Hypothyroidism
2. Slow onset
3. Neuropathy
4. Autoimmune disease

Correct answer: 3. Neuropathy

Explanation: Ans (c) NeuropathyRef: Robbin's pathology 9th ed. /1086-87* Hashimotos thyroiditis or chronic lymphocytic thyroiditis is an autoimmune disease in which the thyroid gland is gradually destroyed by a variety of cell and antibody mediated immune processes.* Physiologically, antibodies against thyroid peroxidase and/or thyroglobulin cause gradual destruction of follicles in the thyroid gland. Accordingly, the disease can be detected clinically by looking for these antibodies in the blood. It is also characterized by invasion of the thyroid tissue by leukocytes, mainly T-lymphocytes. It is associated with non-Hodgkin lymphoma.